Full-term, Small for Date babies are at high risk of –
1. Hypoglycemia
2. Intraventricular haemorrhage
3. Bronchopulomonary dysplasia
4. Hyperthermia

Correct answer: 1. Hypoglycemia

Explanation: Small for date babies are prone to hypoglycemia.
Intraventricular hemorrhage occurs in preterm infants (not in full term, small for date babies).